Toxicity of Oral Xa inhibitors are treated by
1. Protamine sulphate
2. Andexanet alfa
3. Idarucizumab
4. Argatroban

Correct answer: 2. Andexanet alfa

Explanation: Andexanite alfa is a Xa factor analogue used to treat poisoning of Oral Xa inhibitors like Epixaban, Rivaroxaban.